For ZnOE, all of the following are true EXCEPT:
1. Olive oil is used as a plasticizer
2. Addition of methylmethacrylate increases strength.
3. Addition of o – EBA in the concentration of 37 – 50 % increases strength
4. Rosin decreases the brittleness of set cement

Correct answer: 3. Addition of o – EBA in the concentration of 37 – 50 % increases strength